Poor prognostic factor in retinoblastoma is:
1. Optic nerve involvement
2. Massive choroidal invasion
3. Undifferentiated tumour cells
4. All of the above

Correct answer: 4. All of the above

Explanation: Ans. All of the above